Most common tumor to metastasize to brain is:
1. Breast
2. Melanoma
3. Lung
4. Prostate

Correct answer: 3. Lung

Explanation: Common malignancies metastasizing to brain: Lung > Breast > Melanoma Brain metastases are the most common brain tumors; they are three times more common than all primary brain tumors combined. Ref : Harrison 18/e p3390